Most important component of level of living-
1. Health
2. Education
3. Food
4. Clothes

Correct answer: 1. Health

Explanation: Health is the most important component because its impairment always means impairment of level of living.